Earliest symptom of thyroid opthalmopathy-
1. Proptosis
2. Lid retraction
3. Opthalmoplegia
4. Diplopia

Correct answer: 2. Lid retraction

Explanation: *The Most common and earliest symptom is upper eyelid retraction. Ref: Head & Neck surgery 2nd/e p.1513